The Ethyl alcohol (Ethanol) is more effective when mixed with water and used as:
1. 10 to 20 percent
2. 20 to 30 per cent
3. 40 to 50 per cent
4. 60 to 70 per cent

Correct answer: 4. 60 to 70 per cent